All are true about newly introduced Td vaccine in place of TT vaccine except:-
1. First dose should be given at 3 years of age
2. Dose 0.5ml/IM/Upper arm
3. Shake test applicable
4. Open l policy is applicable for Td vaccine

Correct answer: 1. First dose should be given at 3 years of age

Explanation: Tetanus Toxoid (TT) vaccine has been replaced with Tetanus and adult diphtheria. (Td) Td vaccine:- Should be given at 5 & 10 years and to Pregnant women replacing TT Vaccine. The use of Td rather TT is recommended during pregnancy to protect against maternal,neonatal tetanus & diphtheria during prenatal care. Td vaccine is a combination of tetanus & diphtheria with lower concentration of diphtheria antigen (d) as recommended for older children and adults. Dose :0.5ml/IM/Upper arm. Shake test is applicable to freeze sensitive vaccines such as DTP, DT, Td, TT, typhoid & hepatitis B. Open l policy is applicable for Td vaccine. Td is freeze & heat sensitive; hence stored at optimal temperature.